All the statements regarding LDL receptors are true except:
1. Present only in the extra-hepatic tissues
2. Clathrin-coated pits contain the receptor on cell membrane
3. It is taken into the cells by endocytosis
4. Increased cellular cholesterol down-regulates the synthesis of LDL receptors

Correct answer: 1. Present only in the extra-hepatic tissues

Explanation: A i.e. Present only in the extra-hepatic tissues: